Differentiating feature of Neisseria gonococcus from Neisseria meningitides is ?
1. Lactose fermentation
2. Maltose fermentation
3. Mannitol fermentation
4. Sucrose fermentation

Correct answer: 2. Maltose fermentation

Explanation: Ans. is 'b' i.e., Maltose fermentation